A 31 year old female patient complains of bilateral impairment of hearing for the past 5 years. On examination, tympanic membrane is normal and audiogram shows a bilateral conductive deafness. Acoustic reflexes are absent. All constitute part of treatment EXCEPT:
1. Hearing aid
2. Stapectomy
3. Sodium fluoride
4. Gentamycin

Correct answer: 4. Gentamycin

Explanation: There is no medical treatment that cures otosclerosis. Sodium fluoride has been tried to hasten the maturity of active focus and arrest further cochlear loss, but controversies exist and this treatment is NOT recommended generally